All the following are indications for termination of pregnancy in APH patient except:
1. 37 weeks
2. IUD
3. Transverse lie
4. Continuous bleeding

Correct answer: 3. Transverse lie

Explanation: Ans. is c, i.e. Transverse lieRef. Dutta Obs. 7/e, p 249In these questions, there is no confusion about any option except for 'lie of the fetus'.As far as lie is concerned:Friends, why would you terminate pregnancy just because of unstable lie or transverse lie, unless and until there is some other complication associated with it. Transverse lie/unstable lie in a patient of placenta previa simply means that whenever termination of pregnancy is considered cesarean section has to be done.